Ideal management of 37 weeks uncomplicated breech pregnancy is:
1. Spontaneous vaginal delivery
2. Elective caesarean section
3. External cephalic version and trial of vaginal delivery
4. None

Correct answer: 3. External cephalic version and trial of vaginal delivery

Explanation: Ans. C: External cephalic version and trial of vaginal delivery Indications for Elective caesarean section in breech presentation: Estimated fetal weight more than 3.5 kg Hyperextended head Footling presentation Associated complications Pelvic inadequacy